Hurthle cells' are seen in -
1. Agranulomatous Thyroiditis
2. Hashimoto' s Thyroiditis
3. Papillary carcinoma of the thyroid
4. Thyroglossal cyst

Correct answer: 2. Hashimoto' s Thyroiditis